All of the following statements about paneth cells are true, except -
1. Rich in Rough Endoplasmic reticulum
2. Rich in zinc
3. Contain Lysozyme
4. Foamy appearance

Correct answer: 4. Foamy appearance

Explanation: Foamy appearance or frothy cytoplasm is a feature associated with the presence of lipid/mucinous material in the cell cytoplasm. It is seen in mucous secreting goblet cells or lipid phagocytizing macrophage eg Touton giant cell (but not in paneth cells).
Paneth (zymogen) cells are rich in zinc, rough endoplasmic reticulum (RER) and secretory granules containing lysozyme, defensins or cryptidins such as TNF-a. It exceptionally migrate towards the base of the crypt of Lieberkuhn instead of going towards the tip of villi.